Venous air embolism during surgery is seen with
1. Supine position
2. Sitting position
3. Prone position
4. Lateral position

Correct answer: 2. Sitting position

Explanation: Venous air embolismEntrapment of air or medical gases into the venous system causing symptoms and signs of pulmonary vessel obstruction. Medical gases such as carbon dioxide, nitrous dioxide, nitrogen, and helium can also cause or aggravate this condition.Numerous studies on VAE have been reported in medical or surgical procedures and trauma. Neurosurgery performed in a sitting position has a high risk of VAE, with an incidence of 76% in posterior fossa surgery but 25% or 7% in cervical laminectomy whereas, neurosurgical procedures in lateral, supine or prone position showed an incidence of 15% to 25%VAE is also reported in total hip replacement surgery, laparoscopic cholecystectomy, endoscopic procedures, lung & abdominal trauma.(Refer: Morgan's, Clinical Anaesthesia, 4thedition, pg no:638-639)